Medullary carcinoma thyroid all EXCEPT:
1. Contains amyloid
2. TSH dependent
3. Secretes calcitonin
4. Patients should be screened for RET point mutation on chromosome 10

Correct answer: 2. TSH dependent

Explanation: Ans. B i.e. TSH dependent The rate of growth of papillary carcinoma thyroid may be stimulated by TSH Thyroid medullary Ca/ MTC 80% cases are sporadic, 20% are familial (MEN-Ha or MEN-Hb), MTC is the first abnormality expressed in MEN-Ha/ Ilb, Stroma of MTC shows material with staining properties of amyloid, MTC can be diagnosed by demonstrating calcitonin within the MTC cells (on immuno-histochemical studies), Total thyroidectomy is the TOC